Hirschprung's disease is treated by -
1. Colostomy
2. Excision of aganglionic segment
3. Colectomy
4. Sodium chloride wash

Correct answer: 2. Excision of aganglionic segment

Explanation: Ans. is 'b' i.e., Excision of aganglionic segment